True about syphilis is
1. Oral lesions are seen at any stage
2. Clinical manifestations occur after few months of exposure
3. VDRL test is positive in early days of primary syphilis
4. Penicillins are ineffective

Correct answer: 1. Oral lesions are seen at any stage